Oesophagus supplied by oesophageal branches of all except
1. Inferior thyroid artery
2. Descending thoracic artery
3. Left gastric artery
4. Right gastric artery

Correct answer: 4. Right gastric artery

Explanation: Arterial Supply of esophagus:1. The cervical part including the segment up to the arch of aorta is supplied by the inferior thyroid arteries.2. The thoracic part is supplied by the oesophageal branches of the aorta.3.The abdominal part is supplied by the oesophageal branches of the left gastric artery.Ref: BD Chaurasia; Volume 1; 6th edition; Page no: 268